Haemorrhagic shock due to acute blood loss includes 1. Increasing pallor 2. Restlessness 3. Air hunger 4. Water-hammer pulse Haemorrhagic shock due to acute blood loss includes
1. 1 & 4
2. 1 & 2
3. 1, 2 & 3
4. 2,3 & 4

Correct answer: 3. 1, 2 & 3

Explanation: C i.e. 1, 2 & 3